In new born, the artery used for palpation of pulse is ___________
1. Carotid
2. Brachial
3. Radial
4. Femoral

Correct answer: 2. Brachial

Explanation: Brachial pulse is used normally for palpating arterial pulses. In rare cases, femoral pulses are seen. Because femoral pulses are week Reference: GHAI Essential pediatrics, 8th edition